The most common rhythm disturbance during early post-operative period is –
1. Bradycardia
2. Ventricular fibrillation
3. Tachycardia
4. Complete heart block

Correct answer: 3. Tachycardia

Explanation: "Sinus tachycardia is the most common arrhythmia in the perioperative period". 
─ Miller